Reduction rhinoplasty is for:
1. Hump nose
2. Narrow nose
3. Crooked nose
4. Saddle nose

Correct answer: 1. Hump nose

Explanation: An operation called Reduction Rhinoplasty reduces the size of the framework of the nose over which the skin is draped. The skin itself is not touched.
The frame of the nose which is made up of bone in its upper half and gristle(cartilage) in its lower half is approached from underneath the skin.